Grafting done between genetically different individuals of same species is ?
1. Autograft
2. Allograft
3. Isograft
4. Xenograft

Correct answer: 2. Allograft

Explanation: Ans. is b i.e., Allograft